Hepatitis B infection spreads through all of the following routes except
1. Blood transfusion
2. Sexual contact
3. Faeco oral route
4. Perinatal transmission

Correct answer: 3. Faeco oral route